Plazomicin was approved by FDA recently for
1. I
2. UTI
3. Cl difficale
4. Chicken pox

Correct answer: 2. UTI

Explanation: it is ia new or nect generation aminoglycoside i.e neo glycoside, bactericidal in nature ,inhibiting the protein syunthesis, acting on both gram negetive and positive bacteria.